Micro organism which uses steroids as growth factor is
1. P.gingivalis
2. P.intermedia
3. S.sanguis
4. S.mutans

Correct answer: 2. P.intermedia